In starvation, the gall bladder may be -
1. Atrophied
2. Distended
3. Show stones
4. Normal

Correct answer: 2. Distended

Explanation: PM appearance in death due to starvation

Complete disappearance of body fat.
Loss of mesenteric and omental fat, atrophic digestive tract, empty stomach no wider than colon, thin and transparent small intestine.
Distension of gallbladder due to the accumulation of bile from lack of stimulation.